Which of the following is not a posterior relation of the left kidney?
1. Psoas major
2. Medial arcuate ligament
3. Sympathetic chain
4. Ilioiguinal nerve

Correct answer: 3. Sympathetic chain

Explanation: The sympathetic chain is not a posterior relation of the left kidney. The posterior relations of the kidney are as follows: Vessels(1): Subcostal vessels Ligaments (2): Medial and lateral arcuate ligaments Nerves (3): Subcostal, iliohypogastric, and ilioinguinal nerves Muscles (4): Diaphragm, psoas major, Quadratus lumborum, and transverses abdominis. The right kidney is related to the 12th rib and the left kidney is related to the 11th and 12th ribs. Ref: Gray's Anatomy 41st edition Pgno: 1240